Which of the following is NOT a side effect of amiodarone?
1. Pulmonary fibrosis
2. Corneal microdeposits
3. Photosensitivity
4. Tachycardia

Correct answer: 4. Tachycardia

Explanation: Ans. is 'd' i.e., Tachycardia * Amiodarone is a broad spectrum anti - arrhythmic drug which belongs to class III of the anti - arrhythmic drugs.* Following are the adverse effects -i) Fall in BP, bradycardia and myocardial depression occurs on i.v. injection.ii) Photosensitization and skin pigmentation occurs in about 10% of patients.iii) Corneal microdeposits may cause headlight dazzle, but is reversible on discontinuation.iv) Pulmonary fibrosis and alveolitis is most serious side effect seen on prolonged use.v) Peripheral neuropathy generally manifests as the pelvic and shoulder muscle weakness.vi) Amiodarone interferes with thyroid function and prevents peripheral conversion of T4 to T3 and hypothyroidism.